Asymptomatic Gall stone> 3cm what is the treatment -
1. Laparoscopic cholecystectomy
2. Cholecystectry
3. Dissolution therapy
4. ERCP

Correct answer: 1. Laparoscopic cholecystectomy

Explanation: Ans. is 'a' i.e., Laparoscopic cholecystectomy Indications of cholecystectomy in asymptomatic gallstones:1) Large stone, >3 cm in diameter2) Multiple small stones (more chances of passing into CBD and causing obstruction)3) Stone associated with polyp.4) Calcified gall bladder (Porcelain gall bladder).5) Congenitally anomalous gall bladder.6) Gall stones with diabetes (because emphysematous cholecystitis is common in diabetics with gall stones).7) Immuno compromised patients (because complication rate is high).8) Transplant patients (because they are on immuno suppressants).* Few authorities are now also recommending routine cholecystectomy in all young patients with silent stones.